The following are the benzodiazepines of choice in elderly and those with liver disease, EXCEPT:
1. Lorazepam
2. Orazepam
3. Temazepam
4. Diazepam

Correct answer: 4. Diazepam

Explanation: Diazepam generates active metabolites, has slow elimination and tends to accumulate with regular use. Lorazepam, Oxazepam and Temazepam do not produce active metabolites and are relatively safer in elderly patients and in those with liver disease. These agents should be used in preference to diazepam. Ref: Essentials of Pharmacology By K D Tripathi, 5th Edtion, Page 364.